The use of tamoxifen for breast cancer can cause all of the following adverse effects, except:
1. The use of tamoxifen for breast cancer can cause all of the following adverse effects, except:
2. Endometrial carcinoma
3. Carcinoma in contralateral breast
4. Cataract

Correct answer: 3. Carcinoma in contralateral breast

Explanation: Tamoxifen reduces the recurrence rate of breast cancer in ipsilateral as well as contralateral breasts. Adverse effects associated with the use of tamoxifen are: 2-3 fold increased risk of thromboembolism 2-3 fold increased risk of endometrial carcinoma Hot flushes, vomiting, vaginal discharge, menstrual irregularities Cataract, dermatitis, depression, mild leucopenia